The potential limitation of CECT in the setting of the acute pancreatitis is:
1. Can not assess the severity
2. May not useful in assessing prognosis
3. Can not clearly diagnose gallstone pancreatitis
4. Can not diagnose peripancreatic fluid collection

Correct answer: 3. Can not clearly diagnose gallstone pancreatitis

Explanation: MDCT is the primary imaging technique used in evaluating patients suspected of having acute pancreatitis CT useful for: Morphologic changes in the pancreas that allow confirmation of pancreatitis Assessment of the severity It is the only imaging study that predicts clinical outcome. A potential limitation of MDCT in assessing acute pancreatitis is that it has only moderate sensitivity for detecting gallstones and biliary stones. Ref: ACR Appropriateness Criteria,Acute Pancreatitis.